A 35-year-old female who was brought into the emergency department for a drug overdose requires insertion of a nasogastric tube and administration of activated charcoal. What are the three sites in the esophagus where one should anticipate resistance due to compression on the organ?
1. At the aortic arch, the cricopharyngeal constriction, and the diaphragmatic constriction
2. The cardiac constriction, the cricoid cartilage constriction, and the thoracic duct
3. The pulmonary constriction, cricothyroid con striction, and the azygos arch
4. The cardiac constriction, the azygos arch, the pulmonary trunk

Correct answer: 1. At the aortic arch, the cricopharyngeal constriction, and the diaphragmatic constriction

Explanation: The esophagus typically has four constrictions. In the thorax the esophagus is compressed by (1) the arch of the aorta, (2) the left principal bronchus, and (3) the diaphragm. The cricopharyngeal constriction is in the neck.